Which of the following is the preferred marker for detecting acute STEMI in Atheletes -
1. CK-MB
2. Troponin T/I
3. C-Reactive Protein
4. LDH

Correct answer: 2. Troponin T/I